Characteristic of chronic eczema is
1. Erythema
2. Induration
3. Lichenification
4. Edema

Correct answer: 3. Lichenification

Explanation: In chronic eczematous conditions, lichenification (cutaneous hypertrophy and accentuation of normal skin markings) may alter the characteristic appearance of eczema.Ref: Harrison's Principles of Internal Medicine; 19th edition; Chapter 71 Eczema, Psoriasis, Cutaneous Infections, Acne, and Other Common Skin Disorders; Page no: 344